All the following statements are true regarding cervicofacial actinomycosis, EXCEPT
1. 10-20% of actinomycosis cases occur in cervicofacial region.
2. The discharging pus contains visible 'sulphur granules'
3. Cultures on blood agar often produce a typical 'molar tooth' morphology
4. There is usually history of trauma such as tooth extraction or a blow to the jaw

Correct answer: 1. 10-20% of actinomycosis cases occur in cervicofacial region.